Eaton agent is -
1. Chlamydia
2. Mycoplasma pneumoniae
3. Klebsiella
4. H. influenzae

Correct answer: 2. Mycoplasma pneumoniae

Explanation: Ans. is 'b' i.e., Mycoplasma pneumoniae